Pathologically the deposits associated with lattice corneal dystrophy is
1. Glycosaminoglycan
2. Amyloid
3. Cholesterol crystals
4. Hyaline

Correct answer: 2. Amyloid